Puddle sign is seen in:
1. Hydrothorax
2. Pneumothorax
3. Hydrocoele
4. Ascites

Correct answer: 4. Ascites

Explanation: Ans: D i.e. Ascites Diagnosis of small quantity of ascites is done by demonstrating puddle sign. The patient is put in knee chest position so that the fluid gravitates down to the anterior abdominal wall. The stethoscope is placed over this and the anterior abdominal wall is flicked for puddle sound. This can diagnose even 150 ml of fluid